Characterstic nail finding in lichen planus -
1. Pitting
2. pterygium
3. Beau's Lines
4. Hyperpigmentation of nails

Correct answer: 2. pterygium

Explanation: NAIL CHANGES IN LICHEN PLANUS: 1.Early change- bluish red discolouration of proximal nail fold. 2.thinning of nail plate, koilonychia, longtudinal ridging, splitting(onychoschizia) 3. pterygium formation-wing shaped growth of proximal nail fold across the nail plate due to severe nail matrix involvement. it is a characteristic nail change in lichen planus 4. pup tent sign: proximal onycholysis with elevation of nail plate and longitudinal splitting ue to involvement of nail bed. 5. anonychia 6. melanonychia IADVL textbook of dermatology, page 1075